In Waardenburg's syndrome, following are seen except:
1. Widening of the eyebrow
2. Short palpebral fissure
3. Interstital keratitis
4. Heterochromia iridis

Correct answer: 3. Interstital keratitis

Explanation: Ans. Interstital keratitis